CD marker of histiocytosis is-
1. CD IA
2. CD 1B
3. CD1C
4. CD1D

Correct answer: 1. CD IA

Explanation: Tumour cells in histiocytosis typically express HLA -DR,S-100,and CD1a. Reference : Robbins and Cotran Pathologic basis of disease.South Asia Edition volume 1.page no. 622